Which is a soft steroid used in bronchial asthma
1. Budesonide
2. Dexamethosone
3. Ciclesonide
4. Fluisolide

Correct answer: 3. Ciclesonide

Explanation: Ciclesonide has got high topical, systemic activity ratio Refer Katzung 11/e p348